Mucocele of the appendix is -
1. Benign tumour
2. Low grade malignancy
3. Retention cyst
4. All

Correct answer: 4. All

Explanation: Ans. Three options are correct 'a' i.e, Benign tumour; 'b' i.e., Low grade malignancy & 'c' i.e. Retention cyst Mucocele of appendix: A mucocele of the appendix is an obstructive dilatation by intraluminal accumulation of mucoid material. Mucoceles may be caused by one of four processes: retention cysts, mucosal hyperplasia, cystadenomas, and cystadenocarcinomas. The clinical presentation of a mucocele is nonspecific, and often it is an incidental finding at operation for acute appendicitis. An intact mucocele presents no future risk for the patient; however, rupture may lead to pseudomyxoma peritonei or mucinous carcinomatosis of appendiceal origin Every effort is made to keep the mucocele intact during extraction, including placing the specimen in a bag and converting a laparoscopic procedure to open. Management of Mucocele: Includes resection of the appendix, plus wide resection of the mesoappendix to include all the appendiceal lymph nodes, collection and cytologic examination of all intraperitoneal mucus, and careful inspection of the base of the appendix. Right hemicolectomy is done for patients with a positive margin at the base of the appendix or positive periappendiceal lymph nodes.